All these reactions take place inside the mitochondria except
1. EM pathway
2. Krebs cycle
3. Urea cycle
4. Electron transfer

Correct answer: 1. EM pathway

Explanation: EMP pathway means EMBDEN MAYERHOF PARNAS pathway. That means glycolysis. All the reactions take place exclusively in cytoplasm. In glycolysis, glucose is converted to pyruvate or lactate along with the production of small quantity of energy. Remaining options are taking place in mitochondria fully or as a partRef: MN Chatterjea Textbook of Medical Biochemistry, 7th Edition, Page no: 108